Most common mode of inheritance for retinitis pigmentosa is:
1. Autosomal recessive
2. Autosomal dominant
3. Sex linked
4. None of the above

Correct answer: 1. Autosomal recessive

Explanation: Ans. Autosomal recessive